Blood pressure in the dead (i.e., when heart is not beating) is:
1. Zero
2. 6-7 mm Hg
3. 20 mm Hg
4. 40 mm Hg

Correct answer: 2. 6-7 mm Hg

Explanation: Beating of the heart causes the pressure in the arteries and arterioles, which allows the blood to flow through the tissues, in spite of the tissue pressure surrounding the vessels. When heart stops beating, the pressure in the vessels will equilibrate with the tissue pressure - about 6-7 mm Hg.